The section of IPC that deals with not attending the court after receiving the summons
1. 174 IPC
2. 176 IPC
3. 178 IPC
4. 191 IPC

Correct answer: 1. 174 IPC

Explanation: Section 172 IPC: Absconding to avoid service of summons or other proceedings. Section 174 IPC: Nonattendance in obediance to summons from court of law intentionally is punishable (imprisonment up to six months or fine up to one thousand rupees, or both) Section 178 IPC: Punishment for Refusing oath S. 191, I.P.C.: Giving false evidence. S. 192, I.P.C.: Fabricating false evidence. S. 193, I.P.C.: Punishment for false evidence (imprisonment up to seven years).